Snyder's test measures
1. Amount of acid produced
2. Number of new caries lesion
3. Buffering action of saliva
4. Antibiotic activity of saliva

Correct answer: 1. Amount of acid produced